The palatine tonsil receives its arterial supply from all of the following except:
1. Facial
2. Ascending palatine
3. Sphenopalatine
4. Dorsal lingual

Correct answer: 3. Sphenopalatine

Explanation: C i.e. Sphenopalatine artery